Algor mortis is ?
1. Rise of body temperature after death
2. Cooling of body
3. Persistent body spasm
4. None

Correct answer: 2. Cooling of body

Explanation: Ans. is 'b' i.e., Cooling of body ALGOR MORTIS After death, dead body behaves like an inert substance and therefore, if atmospheric temperature is low, body loses its heat by conduction, covection, radiation and evoporation, so as to attain the atmospheric temperature, i.e. the body cools. No cooling of dead body occurs if atmospheric temperature is higher than that of body. Cooling of body starts 1/2 to 1 hour after death. There are varying opinions about rate of cooling of dead body: i) Most widely accepted view is that the rate of cooling in india (tropical countries) is 0.5-0.7deg C/hour, so that body attains atmospheric temperature in 16-20 hours after death. In temperate climate, the rate of fall is about 1.5deg C/hour. ii) As per another view, cooling is faster in initial period, when the temprature difference between body and atmosphere is maximum ? First 30-45 minutes --> No temperature fall (isothermic phase). First 1-6 hours --4 1.5-2deg C/hour. 6-12 hours 0.9-1.2deg C/hour. After 12 hours ---> 0.4-0.6deg C/hour. iii) Rate of cooling is related to difference in temperature and its surroundings (environment). In the first 2 hours average rate fall of temperature is roughly half this difference. In next 2 hours the temperature fall is at half this rate and in subsequent 2 hours, at quarter this rate. iv) Most common site for recording temperature is the rectum. Thermameter is inserted in rectum around 8-10 cm for 2 minutes. Other sites for recording temperture are nose, ear (external auditory meatus), vagina and under liver. Medicolegal importance of algor mortis - i) It is a sign of death. ii) Time since death may be determined and and algor mortis is the most important indicator to determine the time since death during first 24 hours.